Full mouth disinfection therapy aims at
1. Full mouth scaling within 24hours
2. Full mouth scaling within 48 hours
3. Quadrant wise scaling over 7-10 days
4. Five days of antibiotic therapy

Correct answer: 1. Full mouth scaling within 24hours